The largest mesiodistal diameter in primary dentition is:
1. Mandibular 1st molar
2. Mandibular 2nd molar
3. Maxillary 2nd molar
4. None of the above

Correct answer: 2. Mandibular 2nd molar